All are true about chromobacterium violaceum except -
1. Gram negative
2. Produces violet-colored pigment
3. Normal flora in human
4. Causes cellulitis

Correct answer: 3. Normal flora in human

Explanation: Ans. is 'c' i.e., Normal flora in human o Chromobacterium is a gram-negative curved or rod shaped bacteriumo It is a facultative anaerobe and is motile by polar & peritrichous flagella.o There is only one species is recognized within the genus, i.e. C violaceum.o It is so named because it produces a violet-colored pigment know as violacein.C violaceum is the only microorganism that produces a violet pigment and can cause hum infectiono The organism is found in water, soil and animals but not a part of normal flora of humano Infection usually occurs after open traumatic wound and can cause :# Cellulitis# Wound ulceration# Lymphadenitis# Septicemia# UTI# Osteomyelitis# Eye infection# Abscesseso Infections have high rate of mortality even after treatment.o Virulence is related to production of endotoxin that helps the bacterial cells evade phagocytosiso C violaceum is susceptible to tetracycline and gentamycin but resistant to cephalosporins.